Cause of odema
1. Decreased plasma protein concentration
2. Increased lymph flow
3. Increased ECF
4. Increased plasma proteins concentration

Correct answer: 1. Decreased plasma protein concentration

Explanation: Ref.robbins 8/e 112; 7/e 120- 121;9/e p114 Capillary blood contains a decreased quantity of colloids (protein-white circles) due to either decreased hepatic synthesis of these proteins or increased protein loss through the kidney or gastrointestinal tract. ... With decreased production of albumin the plasma colloidal osmotic pressure decreases and edema occurs.